Spore rorming anaerobic gram positive bacilli
1. Bacillus Anthracis
2. Clostridia
3. Corynebacterium
4. Peptostreptococcus

Correct answer: 2. Clostridia

Explanation: Ans. is. 'b' i. e. Clostridia